Melanocytes in conjunctiva are derived from ?
1. Neural ectoderm
2. Surface ectoderm
3. Mesoderm
4. Neural crest

Correct answer: 4. Neural crest

Explanation: Ans. is 'd' i.e., Neural crest